Anti Ul-RNP antibody is seen in?
1. SLE
2. Scleroderma
3. MCTD
4. Derniatomyositis

Correct answer: 3. MCTD

Explanation: Ans. is 'c' i.e., MCTDo Mixed connective tissue disease (MCTD) is characterized serologically by high titers of antibodies to ribonucleoprotein paicle-containing Ul ribonucleoprotein (Anti-Ul RNP)